Freeze dried vaccine are all except -
1. BCG
2. DPT
3. Measles
4. Yellow fever

Correct answer: 2. DPT

Explanation: . .DPT VACCINES are mainly two types.plain and adsorbed.DPT/DT vaccine should not be frozen.it should be stored in a refrigerator at a temp of 2 to 8 degreesC.the vaccine will lose potency if stored at room temperature for a lon period of time.DPT vaccine administration,ideal age for which is 6 weeks after birth.three doses which is usually 0.5 ml is considered optimal for primary immunisation.an interval 4 weeks or more is advusable.route of administration is deep intramuscular.fever and mild reactions may occur ref:park's textbook,ed 22,pg no 153